Despite blockage of the celiac trunk, the organs receiving their blood supply from the trunk continue to operate normally. This is due to anastomoses between which vessels?
1. Left gastroepiploic artery and right gastroepiploic artery
2. Left gastroepiploic artery and right hepatic artery
3. Proper hepatic artery and gastroduodenal artery
4. Superior pancreaticoduodenal artery and inferior pancreaticoduodenal artery

Correct answer: 4. Superior pancreaticoduodenal artery and inferior pancreaticoduodenal artery

Explanation: The superior pancreaticoduodenal artery is a branch of the gastroduodenal artery, which is a branch of the common hepatic artery, itself a branch of the celiac trunk. The inferior pancreaticoduodenal artery is a branch of the superior mesenteric artery.